Sensitive most investigation to detect minimal intraperitoneal free air
1. Standing x-ray abdomen
2. Right lateral decubitus x-ray
3. Chest x-ray
4. Left lateral decubitus x-ray

Correct answer: 3. Chest x-ray

Explanation: Although as little as 1 ml of free gas can be demonstrated radiographically, either in chest PA or a left lateral decubitus abdominal film, CT is superior to plain radiographs in detecting minute quantities of pneumoperitoneum. Chest PA view is more sensitive than even a left lateral decubitus abdominal film.